Which among is not a primary skin lesion -
1. Plaque
2. Macule
3. Abscess
4. Scales

Correct answer: 4. Scales

Explanation: Primary lesions are macules,patch, papules, nodules, plaques, vesicle,bulla ,pustules, erosion,ulceration,wheals. secondary lesions are scale ,crust,atrophy,fissure.Scales are secondary lesions. fitzpatrick textbook of dermatology, 9th edition , page 4